All of the following are true about refeeding syndrome except:
1. Occur with TPN only, not seen in enteral nutrition
2. Associated with increased risk of arrhythmia
3. Occur with rapid & excessive feeding of patients with severe underlying malnutrition
4. Hypophosphatemia & hypomagnesemia requires treatment

Correct answer: 1. Occur with TPN only, not seen in enteral nutrition

Explanation: REFEEDING SYNDROME: - Potentially lethal condition - Occurs with rapid & excessive feeding of patients with severe underlying malnutrition due to starvation, alcoholism, delayed nutritional support, anorexia nervosa & massive weight loss in obese patients Pathophysiology - With refeeding, shift in metabolism from fat to carbohydrate substrate - Increased insulin release - Cellular uptake of electrolyte particularly: - Phosphate - Hypophosphatemia - Magnesium - Hypomagnesemia - Potassium- Hypokalemia - Calcium- Hypocalcemia - Increased risk of arrhythmia, confusion, respiratory failure & death due to dyselectrolytemia.